The plateau phase of Myocardial action potential is due to
1. Efflux of Na+
2. Influx of Ca++
3. Influx of K+
4. Closure of voltage gated K+ channels

Correct answer: 2. Influx of Ca++

Explanation: Ca2+ influx through more slowly opening Ca2+ channels produces the plateau phaseRef: Ganong's Review of Medical Physiology Twenty-Third Edition Page No: 491